What is not true about valid consent-
1. Obtained in presence of two witnesses
2. Use technical jargon
3. Should not be obtained with force,, fear or fraud
4. True information to be given freely

Correct answer: 2. Use technical jargon

Explanation: Ans. is 'b' i.e., Use technical jargon Legally valid consent for medical examination and treatment is one :-o Given by person himself, if above 12 years, conscious and mentally sound (sane),o Or given by parent, guardian, or friend, if patient is less than 12 years or is unconscious or is insane,o Is written informed consent, i.e. is given in w riting after knowing the nature of condition of procedure, its alternatives and its complications. All disclosures/ true information should be given freely in a language that the patient best understand. Non-medical persons usually do not understand the medical technical jargon, so the consent should be taken in simple language, which the patient can understand and not a technical jargon.o Given in presence of two witnesses,o Given before the actual doing of procedure.o Given freely, voluntarily and directly; without fear, force or fraud.o Signed by doctor, patient (or guardian) and witnesses.